All of the following are functions of CD 4 helper cells, except -
1. Immunogenic memory
2. Produce immunoglobulins
3. Activate macrophages
4. Activate cytotoxic cells

Correct answer: 2. Produce immunoglobulins

Explanation: The T helper cells (Th cells) are a type of T cell that play an important role in the immune system, particularly in the adaptive immune system. They help the activity of other immune cells by releasing T cell cytokines. These cells help suppress or regulate immune responses. They are essential in B cell antibody class switching, in the activation and growth of cytotoxic T cells, and in maximizing bactericidal activity of phagocytes such as macrophages. Reff: Ananthanarayanan & panikers textbook of microbiology 9th edition pg:135